Meningococcal meningitis is seen with which of the following complement deficiency?
1. C1q
2. C2
3. C4
4. C5

Correct answer: 4. C5

Explanation: o C5-C9 -complement deficiency (MAC) membrane attack complex o Late complement deficiency are prone for recurrents Neisserial infections (meningo & gonococci both) o C1 esterase inhibitor deficiency: leads to Hereditary Angioneurotic edema